Foramen scarpa is another name of
1. Mental foramen.
2. Incisive foramen
3. Infra orbital foramen.
4. Supraorbital foramen.

Correct answer: 2. Incisive foramen